Compression therapy for varicose veins results in all except
1. Diverts blood towards deep veins
2. Prevents outward flow of blood in perforating veins
3. Decreases venous elasticity
4. Improves efficacy of calf muscle pump

Correct answer: 3. Decreases venous elasticity

Explanation: Compression therapy improves venous elasticity.